Oschner sherren regime is used in management of -
1. Appendicular abscess
2. Chronic appendicitis
3. Appendicular mass
4. Acute appendcitis

Correct answer: 3. Appendicular mass